All of the following are the electrocardiographic features of Hyperkalemia, except-
1. Prolonged PR interval
2. Prolonged QT interval
3. Sine wave patterns
4. Loss of P waves

Correct answer: 2. Prolonged QT interval

Explanation: Early ECG changes of hyperkalemia, typically seen at a serum potassium level of 5.5-6.5 mEq/L, include the following: Tall, peaked T waves with a narrow base, best seen in precordial leads. Shortened QT interval. ST-segment depression . Ref Harrison 20th edition pg 1411